Nephrotic syndrome is characterized by all except -
1. Hypoalbuminemia
2. Hypolipidemia
3. Lipiduria
4. Proteinuria > 3.5 gm per 1.73 m2 per 24 hours

Correct answer: 2. Hypolipidemia

Explanation: NEPHROTIC SYNDROME Nephrotic syndrome is a constellation of features in different diseases having varying pathogenesis; it is characterized by findings of massive proteinuria (more than 3.5 g/day), hypoalbuminemia, edema, hyperlipidemia, lipiduria, and hypercoagulability. Pitting edema: Does not distinguish nephritic from nephrotic syndrome. Ref: Textbook of pathology Harsh Mohan 6th edition page 660